Which is used in teletheraphy & Brachytherapy both –
1. Iridium 127
2. Cobalt 60
3. Pallidium
4. Iodine 131

Correct answer: 2. Cobalt 60

Explanation: Co - 60 and Cs - 137 are used both in teletherapy and brachytherapy